Which is not a characteristic feature of pseudo tumour cerebri?
1. Headache
2. Dilated ventricles
3. Increasing opening pressure during LP
4. Papilledema

Correct answer: 2. Dilated ventricles

Explanation: Ans: B. Dilated ventriclesRef: Harrison's Textbook of Internal Medicine- 18th edExplanation:Pseudo tumour cerebri:HeadacheNormal CSFNormal or small ventricular sizeCT & MR1 are normalNo focal neurological deficitsTransient visual obscurations & papilloedemaCauses:Metabolic causesHypervitaminosis AVit A deficiencySteroid therapySteroid withdrawalTetracuclineNalidixic acidIrom deficeincyHyper parathyroidismAdrenal insufficiency-Chromic 02 retentionAmiodaroneInfections causesPoliomyelithisGuiIlian barre syndromeOtitis media